Dryness of mouth caused by antipsychotics due to their -
1. Anticholineic action
2. Antiodrenergic action
3. Antidopaminergic action
4. Antihistaminic action

Correct answer: 1. Anticholineic action

Explanation: Ans. is 'a' i.e., Anticholineic action o Antipsychotics has anticholinergic property which can cause anticholinergic side effects, e.g., Dry mouth, bad taste, urinary retention, blurred vision, palpitation and constipation. o It is interesting to know that clozapine causes hypersalivation despite anticholinergic property.